Catastrophic reaction is a feature of-
1. Dementia
2. Schizophrenia
3. Delirium
4. Anxiety

Correct answer: 1. Dementia

Explanation: Catastrophic reaction is a feature of dementia.